Rhabdomyosarcoma with best prognosis depending on site is:
1. Orbit
2. Bladder
3. Prostrate
4. None of the above

Correct answer: 1. Orbit

Explanation: The prognosis for rhabdomyosarcoma is related to the site of origin. Primary sites associated with more favorable prognoses include the orbit and nonparameningeal head and neck, paratestis and vagina (nonbladder, nonprostate genitourinary), and the biliary tract. Ref: Schwartz's principle of surgery 9th edition, chapter 39.